Le Forte II facial fracture implies -
1. Fracture running through alveolar ridge
2. Fracture running through midline of the palate and zygomatico maxillary suture
3. Fracture running through zygomatic process of the maxilla, floor of orbit, root of nose on one side only
4. Similar to C but on both sides

Correct answer: 4. Similar to C but on both sides